Vitamin A is stored in:-
1. Kupfer cells
2. Hepatocytes
3. Ito cells
4. Endothelial cells of liver

Correct answer: 3. Ito cells

Explanation: HSCs (Hepatic Stellate Cells) are: Pericytes which exist in the space between parenchymal cells and liver sinusoidal endothelial cells of the hepatic lobule. Also called Vitamin A-storing cells, Lipocytes, Interstitial cells, Fat-storing cells or Ito cells, Perisinusoidal cells Store 50-80% of vitamin A in the whole body as Retinyl Palmitate. Extra information: Vitamin A - The fat-soluble vitamin A, as such is present only in foods of animal origin. However, its provitamins carotenes are found in plants Retinol, retinal and retinoic acid are regarded as vitamers of vitamin A. Function of vit A - Vitamin A is necessary for a variety of functions such as vision, proper growth and differentiation, reproduction and maintenance of epithelial cells. Deficiency manifestations of the eyes - nyctalopia is one of the earliest symptoms of vitamin A deficiency.